In isometric exercise all are increased except :
1. Heart rate
2. Cardiac output
3. Mean arterial pressure
4. Systemic vascular resistance

Correct answer: 4. Systemic vascular resistance

Explanation: Systemic vascular resistance [Ref: Ganong 22/e, p 633-634; Website : - "Autonomic mechanisms in hemodynamic response to isometric exercise" given at above mentioned website quotes -"The cardiovascular response to sustained isometric exercise have been studied and well defined in volunteers. Characteristically modest increase in heart rate and cardiac output occur, while increases in systolic and diastolic arterial pressure are more pronounced. The relative increases in cardiac output and mean blood pressure are such that calculated systemic vascular resistance is unchanged."The systemic cardiovascular response to exercise depends on whether the muscle contractions are primarily isometric or primarily isotonic.CVS changes in isometric exercise :- Heart rate rises- Systolic and diastolic blood pressure rises sharply- Stroke volume changes relatively little.- Cardiac output increasesCVS changes in isotonic exercise- Heart rate rises- Stroke volume increases markedly- Peripheral resistance decreases d/t vasodilation in exercising muscle- Systolic b.p. rises only moderately, whereas diastolic pressure usually remains unchanged or falls.- Cardiac output increases